A 40-year-old female, presented to OPD with hemoptysis and hematuria. Lab studies show the presence of anti-basement membrane antibodies. The patient undergoes plasmapheresis & her symptoms improved. Which of the following diseases is of the same hypersensitivity category as this disease?
1. Systemic lupus erythematosus
2. Seasonal allergies
3. Myasthenia gravis
4. Poison ivy rash

Correct answer: 3. Myasthenia gravis

Explanation: Given scenario suggests diagnosis of Good pasture's syndrome : Anti-glomerular basement membrane disease- anti-basement membrane antibodies specific for collagen located in glomerular and pulmonary basement membranes Myasthenia gravisis an autoimmune disease that's categorized as a type IIhypersensitivity that involves autoantibodies binding acetylcholine receptors on skeletal muscle cells. Good pasture's syndrome and Myasthenia gravis are type II hypersensitivity reactions. TypeIIIhypersensitivityis common in systemiclupuserythematosus (SLE) Seasonal allergies are type I hypersensitivity reactions. Poison ivy rash is type IV hypersensitivity reactions. Gell And Coombs Classification Of Hypersensitivity Reactions And Their Features Type - I Type - II Type - III Type - IV Immune Response Dltered Humoral Humoral Humoral Cell mediated Mediator IgE IgG Ag-Ab complex T cell mediated Effector Mechanism Mast cell degranulation 1.ADCC 2. Complement mediated cytolysis Complement activationInflammatory response Macrophage activation leads to phagocytosis or cell cytotoxicity Typical Manifestations 1. Anaphylaxis 2. Asthma 3. Atopic dermatitis 1. Transfusion reactions 2. Rh incompatibility 3. Hemolytic anemia 4. Goodpasture Syndrome5. ARF 5. Myasthenia gravis 1. Arthus reaction 2. Serum sickness 3. Glomerulonephritis 4. Rheumatoid arthritis 5. PAN 6. Lepra Reaction type 2 (ENL) 7. Reactive Arthritis 1. Tuberculin test 2. Granuloma formation in tuberculosis and leprosy 3. Contact dermatitis